Most common renal manifestation of leprosy -
1. Minimal change G.N.
2. Crescentric GN.
3. Mesangioproliferative G.N.
4. FSGS

Correct answer: 3. Mesangioproliferative G.N.

Explanation: The most common leprosy-associated glomerular disease is mesangial proliferative glomerulonephritis and other histologic types are also found: acute proliferative glomerulonephritis, membranous glomerulonephritis, rapidly progressive glomerulonephritis, mesangial proliferative glomerular nephritis Ref Harrison20th edition pg 244